Pertussis vaccine side effect -
1. Local pain
2. Excessive cry
3. Fever
4. All of above

Correct answer: 4. All of above

Explanation: Ans. is 'd' i.e., All of the above o Pertussis vaccineAvailable as whole cell and acellular as DTPw and DTPaPrimary immunisation at 6, 10, 14 weeks followed by booster dose IVi year and 5 year.Whole cell causes more side effect than acellular.Side effect-local pain, redness, fever, irritability, excessive cry because of cortical irritation.ContraindicationProgressive neurological disease (Relative)Immediate anaphylasixEncephalopathyPersistent Inconsable cryHypotensive - hyporesponsive episode